What is true about iliotibial tract?
1. Thickening of fascia lata
2. Gluteus medius is inserted into it
3. Insertion at medial aspect of tibia
4. Runs along the medial aspect of thigh

Correct answer: 1. Thickening of fascia lata

Explanation: Ans. A Thickening of fascia lataRef: Gray's Anatomy, 41st ed. pg. 1337-38* The iliotibial tract is a thickened portion of the deep fascia of the thigh (fascia lata). This tract runs from the lateral aspect of the iliac crest to Gerdy's tubercle and produces the flattened appearance of the lateral thigh.* The attachment on Gerdy's tubercle is on the anterior aspect of the lateral condyle that is usually approximately 1 cm inferior to the joint line and about 2 cm superolateral to the tibial tuberosity.* The upper end of the tract splits into two layers, where it encloses and anchors tensor fasciae latae and receives, posteriorly, most of the tendon of gluteus maximus.